Which of the following is true regarding pterygium?
1. Occurs in inter palpepbral fissure mostly on nasal side
2. Dual pterygium is located superiorly and inferiorly
3. Infective in etiology
4. It is not associated with UV radiation

Correct answer: 1. Occurs in inter palpepbral fissure mostly on nasal side

Explanation: Ans: a (Occurs in inter palpepbral fissure mostly on nasal side)Ref: Parson, pg. 175-176Pterygium is a degenerative condition of the subconjunctival tissue which proliferates to invade the comea.lt usually involves the nasal side. When double, both nasal and temporal region is involved.Aetiology: Exposure to sun (UV radiation) Dry heat High wind Abundance of dustPterygium should be distinguished from a pseudoptyerygium which is an inflammatory process (by passing a probe underneath the neck of pseudo pterygium.)